Perseveration is -
1. Persistent and inappropriate repetition of the same thoughts
2. When a patient feels very distressed about it
3. Characteristic of schizophrenia
4. Characteristic of obsessive compulsive disorder (OCD)

Correct answer: 1. Persistent and inappropriate repetition of the same thoughts

Explanation: Perseveration is continuing with a verbal response which was initially appropriate, However, thereafter there is persistent and inappropriate repetition of the same verbal response.